The definitive host for echinococcous granulosus is -
1. Man
2. Sheep
3. Fox
4. Dog

Correct answer: 4. Dog

Explanation: Dog ,wolf ,jackal,fox etc can act as definitive host...but the optimal one is dog Sheep and cattle can act as intermediate host. Ref: panikers textbook of Medical parasitology 8th edition page 130